Drugs which can NOT reduce the CSF pressure
1. Acetazolamide
2. 20% Mannitol
3. Ketamine
4. Thiopentone

Correct answer: 3. Ketamine

Explanation: (C) Ketamine # OSMOTIC AGENTS:> Mannitol reduces ICP by decreasing blood viscosity, transiently increasing CBF and improving oxygen transport, which results in a decreased adenosine level. Drop in adenosine causes cerebral vasoconstriction in areas of the brain that have intact autoregulation. CBF remains constant with a decrease in CBV and ICP. Mannitol will have little effect if autoregulation is impaired or CPP is elevated and cerebral vasoconstriction is already maximal. Mannitol should be administered only when necessary to control ICR Serum osmolarity should be measured and should not exceed 320 mOsm/L.> Acetozoloamide is a inhibitor of carbonic anhydrase that causes a reduction in transport of sodium ions across choroid plexus epitheliumin chorois plexus which is responsible for the secretion of CSR Dosage is 2-4 gms. It is contraindicated in patients with sulfa allergy.> Thiopental, 1 to 5 mg/kg, as an intravenous bolus, acutely reduces ICP for 5 to 10 minutes.> Ketamine has been historically contraindicated for induction use in patients with head injury because of a concern that it may increase intracranial pressure (ICP).